Most common cause of amoebic lung abscess is -
1. Aspiration
2. Direct spread form liver
3. Hematogenous spread from liver
4. Hematogenous spread form gut

Correct answer: 2. Direct spread form liver